The extent to which a specific health care treatment, service, procedure, program or other intervention does what it is intended to do when used in a community dwelling population is termed its :-
1. Efficacy
2. Effectiveness
3. Effect modification
4. Efficiency

Correct answer: 2. Effectiveness

Explanation: Effectiveness looks at how the intervention works in real-life settings. Efficacy, tests the same in controlled or laboratory settings. Effect modification is all about stratification & occurs when an exposure has a different effect among different subgroups. Effect modification is associated with the outcome but not exposure.